A 11 year old male patient complains of swollen and painful gums. He gives a history of Ventricular septal defect and delayed eruption of teeth. Extra-oral examination reveals an underdeveloped midface, brachycephalic skull, flat nasal bridge and oblique palpebral fissures. Which of the following condition will not be seen in this child?
1. Open bite​
2. Periodontal disease​
3. Rampant caries
4. Bruxism

Correct answer: 3. Rampant caries

Explanation: Oral  findings of down's syndrome include  mouth  breathing, open  bite, appearance  of macroglossia, fissured lips and tongue, angular cheilitis, delayed eruption times, missing and malformed teeth, oligodontia, small roots, microdontia, crowding, and a low level of caries. Children with Down syndrome experience a high incidence of rapid, destructive periodontal disease, which may be related to local factors such as tooth morphology, bruxism, malocclusion, and poor oral hygiene.